About Enterohepatic circulation, FALSE is
1. Na+ Bile salt cotransporter is involved.
2. 95% bile salts are reabsorbed
3. All the components of bile are reabsorbed.
4. Occurs 6-8 times daily

Correct answer: 3. All the components of bile are reabsorbed.

Explanation: Bile is made up of the bile acids, bile pigments, and other substances dissolved in an alkaline electrolyte solution that resembles pancreatic juice. About 500 mL is secreted per day. Some of the components of the bile especially bile salts are reabsorbed in the intestine and then excreted again by the liver (enterohepatic circulation). 90 to 95% of the bile acids are absorbed from the small intestine. Once they are deconjugated, they can be absorbed by nonionic diffusion, but most are absorbed in their conjugated forms from the terminal ileum by an extremely efficient Na+-bile salt cotransport system (ABST) whose activity is secondarily driven by the low intracellular sodium concentration established by the basolateral Na+, K+ ATPase. The total bile acid pool of approximately 3.5 g recycles repeatedly the enterohepatic circulation; it has been calculated that the entire pool recycles twice per meal and 6-8 times per day.